Which enzyme defect causes Tay Sach's disease?
1. b glucosidase
2. a galactosidase
3. Hexosaminidase A
4. B galactosidase

Correct answer: 3. Hexosaminidase A

Explanation: Ans. is 'c' i.e., Hexosaminidase ALipid storage disordersDisorderEnzyme defectGaucher's diseaseb glucosidaseNiemann Pick diseaseSphingomyelinaseFabry's diseasea galactosidaseGM1 gangliosidosisb galactosidaseGM2 gangliosidosisHexosaminidase ASandhoff s diseaseHexosaminidase A and BKrabbe's diseaseGalactosyl ceramidaseMetachromatic leukodystrophyAryl Sulfatase AFarber's diseaseCeramidaseWolman's diseaseAcid lipase